Multiple myeloma is diagnosed by -
1. 24 hours urine protein
2. Kidney biopsy
3. > 10% plasmacytosis
4. Rouleaux formation in blood

Correct answer: 3. > 10% plasmacytosis